Cavity of midbrain
1. Lateral ventricle
2. Third ventricle
3. Cerebral aqueduct
4. None

Correct answer: 3. Cerebral aqueduct

Explanation: Cavity of midbrain- cerebral aqueductCavity of hindbrain- 4th ventricleCavity of forebrain- lateral & 3rd ventricle(Ref: vishram Singh textbook of clinical neuroanatomy second edition pg 4)